Neonatal lupus -
1. Heart block
2. Thrombocytopenia
3. Cutaneous lesion
4. All of above

Correct answer: 4. All of above

Explanation: Ans. is 'd' i.e., AH of above o Neonatal lupusAge of onset newborn to 6 monthSkin lesion:Annular erythematous scaly plaque.Seen on sun exposed = head, neckMay be associated with heart block.'thrombocytopeniaDiagnosed by:ANAAnti RO antibodies